MI is a type of
1. Coagulative necrosis
2. Liquefactive necrosis
3. Caseous necrosis
4. Fat necrosis

Correct answer: 1. Coagulative necrosis

Explanation: Coagulative necrosis is a form of necrosis in which the underlying tissue architecture is preserved for at least several days. The affected tissues take on a firm texture. Presumably, the injury denatures not only structural proteins but also enzymes, thereby blocking the proteolysis of the dead cells; Coagulative necrosis is characteristic of infarcts (areas of ischemic necrosis) in all of the solid organs except the brain.( Robbins Basic Pathology, 9th edition, page 10 )